Incidence of preterm delivery in twin pregnancy is
1. 25%
2. 50%
3. 75%
4. 100%

Correct answer: 2. 50%

Explanation: Incidence of preterm in twin pregnancy is 50% Mean gestational age for twins is 37weeks Causes of prematurity: Overdistention of uterus Hydromnios Premature rupture of membranes Ref: Dutta Obs 9e pg 193.